The spirometer can estimate all the following except
1. Total lung capacity
2. Forced expiratory volume in 1 second
3. Peak expiratory flow
4. Vital capacity

Correct answer: 1. Total lung capacity

Explanation: The total lung capacity (TLC), about 6,000 mL, is the maximum amount of air that can fill the lungs (TLC = TV + IRV + ERV + RV Ref: guyton and hall textbook of medical physiology 12 edition page number:326,327,328